International disease surveillance is for ?
1. Hepatitis
2. Polio
3. TB
4. Leprosy

Correct answer: 2. Polio

Explanation: Ans. is 'b' i.e., Polio